True about autoregulation of renal blood flow is?
1. Changes proportional to MAP
2. Changes inversely proportional to change in MAP
3. Remains relatively constant over changes in MAP
4. None

Correct answer: 3. Remains relatively constant over changes in MAP

Explanation: Renal blood flow remains relatively constant over changes in MAP.Ref: Ganong's review of medical physiology; 24th edition; page no; 676